Which of the following is not used in methyl alcohol poisoning :
1. Gastric lavage
2. Dialysis
3. Ethyl alcohol
4. High does of vitamin B12

Correct answer: 4. High does of vitamin B12

Explanation: D i.e. High dose vit B12